Mechanism of action of propylthiouracil:
1. inhibition of organification of iodine
2. inhibition of oxidation
3. inhibition of coupling
4. all of the above

Correct answer: 4. all of the above

Explanation: Ans. D. All of the aboveThyroid peroxidase enzyme is responsible for oxidation, organification and coupling of thyroid hormone. Thus, propylthiouracil is the inhibitor of thyroid peroxidase enzyme and modulate all the functions.